In colposcopy following are visualised except:
1. Upper 2/3rdendocervix
2. Cervical carinoma in situ
3. Cervical polyp
4. Cervical dysplasia

Correct answer: 1. Upper 2/3rdendocervix